Retropharyngeal space lies between The
1. Base of skull to diaphragm
2. The base of the skull to the thoracic inlet
3. The base of the skull to post-cricoid cartilage
4. Base of skull to bifurcation of trachea

Correct answer: 4. Base of skull to bifurcation of trachea